Risk of kernicterus is increased in all except ?
1. Low level of serum albumin
2. Prematurity
3. Acidosis
4. High levels of serum albumin

Correct answer: 4. High levels of serum albumin

Explanation: Ans. is 'd' i.e., High level of serum albumin o The toxic effects of elevated serum levels of unconjugated bilirubin are increased by following factors ? Hypoproteinemia (.1 albumin) --> Normally unconjugated bilirubin binds to albumin in circulation. If the level of albumin decreases, concentration of free unconjugated bilirubin will increase.